Familial polyposis coli is due to
1. Abnormality of chromosomes five
2. Abnormality of chromosomes
3. Intestinal tuberculosis
4. Intussusception

Correct answer: 1. Abnormality of chromosomes five

Explanation: .desmoid tumour is often associated with the familial polyposis colon (FAP), osteomas, odontomes epidermal cysts-- Gardner's syndrome.it is usually due to genetic abnormality involving chromosome 5. ref:SRB's manual of surgery ,ed 3,pg no 776